Ethambutol causes :
1. Retrobulbar neuritis
2. Deafness
3. Red urine
4. Peripheral neuritis

Correct answer: 1. Retrobulbar neuritis

Explanation: Ethambutol causes retrobulbar neuritis and can result in red-green colour blindness.